The following test is not used for diagnosis of leprosy –
1. Lepromin test
2. Slit skin smear
3. Fine needle aspiration cytology
4. Skin biopsy

Correct answer: 1. Lepromin test

Explanation: Lepromin Test is not used to diagnose leprosy, nor does it indicate prior contact with lepra bacilli. Healthy persons in nonendemic areas with no chance of contact with the bacillus may give a positive lepromin test.